Patient with leprosy, smear sample taken show 10- 100 bacilli in one field. Bacterial index is:
1. 1+
2. 2+
3. 3+
4. 4+

Correct answer: 4. 4+

Explanation: Bacterial index is calculated by counting the number of bacilli in 100 fields under oil immersion Grade Number of bacilli 1+ 1 to 10 bacilli per 100 fields 2+ 1 to 10 bacilli per 10 fields 3+ 1 to 10 bacilli per field 4+ 10 to 100 bacilli per field 5+ 100 to 1000 bacilli per field 6+ Multiple clumps of bacilli present